Pulse oximeter is used for monitoring –
1. Oxygen content of blood
2. Oxygen saturation
3. Partial pressure of oxygen
4. All of the above

Correct answer: 2. Oxygen saturation